Transference resolved by
1. Inter-personal psychotherapy
2. Client based psychotherapy
3. Cognitive Behaviour Therapy
4. Psychodynamic psychotherapy

Correct answer: 4. Psychodynamic psychotherapy

Explanation: (D) Psychodynamic psychotherapy # Transference: Patient's feelings, behavior and relationship with the therapist.> Transference is a phenomenon in psychoanalysis characterized by unconscious redirection of feelings from one person to another.> Transference was first described by Sigmund Freud, who acknowledged its importance for psychoanalysis for better understanding of the patient's feelings.> Focus in psychodynamic psychotherapy is, in large part, the therapist and patient recognizing the transference relationship and exploring the relationship's meaning.> Since the transference between patient and therapist happens on an unconscious level, psychodynamic therapists who are largely concerned with a patient's unconscious material use the transference to reveal unresolved conflicts patients have with childhood figures.